Not a radiosensitizing drug -
1. 5-Fu
2. BUDR
3. Cyclophosphamide
4. Hydroxyrea

Correct answer: 3. Cyclophosphamide

Explanation: Ans. is 'c' i.e., Cyclophosphamide RadiosensitizersA) Hypoxic cell radiosensitizers1) Nitroimidazoles:- Metronidazole, Misonidazole, Etanidazole, Nimorazole, Pimonidazole2) Anticancers:- Actinomycin D (Dactinomycin), Bleomycin, Cisplatin, Doxorubicin, 5-FU, Fludarabine, Gemcitabine, Hydroxyurea, Paclitaxel, Mitomycin - C, Topotecan, Vinorelbine.3) Hyperbaric oxygen (most potent)B) Non hypoxic cell radiosensitizers1) Haloginatedpyrimidines:- BUdR, IUdR.Cisplatin and 5-FU are two of the most commonly used radiosensitizing agents.